Causes of ATN-
1. Radiocontrasts
2. Paraproteins
3. Abruptio placentae
4. All of the above

Correct answer: 4. All of the above